Spring catarrah is:
1. Type I hypersensitivity reaction
2. Type II
3. Type III
4. Type IV

Correct answer: 1. Type I hypersensitivity reaction

Explanation: Ans. Type I hypersensitivity reaction